2 year old baby having testicular lump. Increased AFP diagnosis
1. Yolk sac tumor
2. Seminoma
3. Choriocarcinoma
4. Teratoma

Correct answer: 1. Yolk sac tumor

Explanation: Yolk sac tumor is the most common characteristic testicular tumor of infants and young children up to the age of 4 years.Alphafetoprotein levels are elevated in 100% cases of yolk sac tumors. Germ cell tumours unrelated to germ cell neoplasia in situ (non-GCNIS) Spermatocytic tumour Yolk sac tumour, prepubertal type Teratoma, prepubertal type - Dermoid cyst - Epidermoid cyst - Differentiated neuroendocrine tumours Mixed teratoma and yolk sac tumour, prepubertal type Germ cell tumours derived from germ cell neoplasia in situ (GCNIS) Seminoma Embryonal carcinoma Yolk sac tumour, postpuberal type Choriocarcinoma Teratoma, postpuberal type Mixed germ cell tumours Regressed germ cell tumours Sex cord-stromal tumours Leydig cell tumour Sertoli cell tumour Granulosa cell tumour Tumour containing both germ cell and sex cord-stromal elements Gonadoblastoma Haematolymphoid tumours Tumours of collecting duct and rete testis Miscellaneous Reference:Textbook of pathology-Harsh Mohan,6th edition,page no:711.